Epiphora & lagopthalmous following VII nerve injury is due to-
1. Failure of lacrimal pump
2. Increased lacrimal secretion
3. Nasolacrimal duct obstruction
4. None of the above

Correct answer: 1. Failure of lacrimal pump

Explanation: Ans. is 'a' i.e., Failure of lacrimal pump o Symptomatic epiphora following facial paralysis is most often associated with one or more of the following -i) Impairment of eyelid closure.ii) A compromised lacrimal pump.iii) Lower lid laxity